Caries associated with pre-eruptive enamel hypoplasia:
1. Secondary caries.
2. Chronic caries.
3. Occult caries.
4. Incipient caries.

Correct answer: 3. Occult caries.